Failure rate of female condom ?
1. < 1 per 100 women-years
2. 1-5 per 100 women years
3. 5-20 per 100 women years
4. 20-40 per 100 women years

Correct answer: 3. 5-20 per 100 women years

Explanation: Ans. is 'c' i.e., 5-20 per 100 women years Female condom The female condom is a pouch made of polyurethane, which lines the vagina. An internal ring in the close end of the pouch covers the cervix and an external ring remains outside the vagina. It is prelubricated with silicon, and a spermicide need not be used. It is an effective barrier to STD infection. However, high cost and acceptability are major problems. The failure rates during the first year use vary from 5 per 100 women-years pregnancy rate to about 21 in typical users.